10-year-old female presents with pain in the right hypochondrium, fever, jaundice and a palpable mass in the right hypochondrium the probable diagnosis is
1. Hepatitis
2. Hepatoma
3. Choleochal cyst
4. Mucocele gallbladder

Correct answer: 3. Choleochal cyst

Explanation: The common congenital cystic condition seen in children especially in a female child,10% presents as a clinical triad of right hypochondriacal pain, jaundice, palpable abdominal mass. Reference SRB Edition :5 page :636-637